Delusion of Nihilism and Early morning insomnia are characteristic features of -
1. Mania
2. Major depression
3. Personality disorder
4. Schizophrenia

Correct answer: 2. Major depression

Explanation: Nihilistic delusion, insomonia and early morning awakening are seen in depression